Which of the following is an approach in health education:
1. Regulatory approach
2. Service approach
3. Educational approach
4. All of the above

Correct answer: 4. All of the above

Explanation: Approaches in Health Education:

Regulatory approach
Service approach
Educational approach
Primary Health Care approach